Human leukocyte antigen ( HLA) DR 4 occurs in about 70% of patients with rheumatoid arthritis HLA R4 encoded in the major histocompatibility complex (MEW) region on -
1. Chromosome 6
2. Chromosome 9
3. Chromosome 18
4. Choromosome 22

Correct answer: 1. Chromosome 6